Baggasosis is caused by dust of ?
1. Jute
2. Cotton
3. Sugarcane
4. Textiles

Correct answer: 3. Sugarcane

Explanation: - bagassosis is the occupational disease of the lung caused by inhalation of bagasse or sugarcane dust. - due to thermophilic actinomycete Thermoactinomyces sacchari. - symptoms include breathlessness, cough, hemoptysis and slight fever. - if left untreated, diffuse fibrosis,emphysema and bronchiectasis occurs. Reference : Park's textbook of preventive and social medicine, 23 rd edition, pg no 807